All are USG findings of PCOS except
1. >=20 Follicles which are <=9 mm in size in either ovary
2. Ovarian Volume <=10 cc
3. Necklace of pearl pattern of Follicles
4. Thick Ovarian Stroma

Correct answer: 2. Ovarian Volume <=10 cc

Explanation: Cysts arrange around the periphery of ovary giving Necklace of pearl appearance on USG is Characteristic of PCOD Rotterdam PCOS Diagnostic Criteria for PCOS diagnosis : The presence of two of the three criteria is sufficient to diagnosis PCOS: menstrual cycle anomalies (amenorrhea, oligomenorrhea), clinical and/or biochemical HA, and/or Ultrasound appearance of polycystic ovaries after all other diagnoses are ruled out. The sonographic criteria for PCOS morphology Presence of 20 or more follicles (newer criteria mention 20 follicles instead of 12 since with better USGs, even smaller follicles can now be picked up) in either ovary measuring 2 to 9 mm in diameter and/or increased ovarian volume (>10 mL). A single ovary meeting these criteria is sufficient to affix the PCO morphology